True about laryngitis sicca -a) Caused by Klebsiella ozaenab) Caused by Klebsiella rhinoscleromatosisc) Hemorrhagic crust formation seend) Antifungal are effectivee) Microlaryngoscopic surgery is a modality of treatment
1. acd
2. ace
3. cde
4. ade

Correct answer: 2. ace